Cystathionine lyase requires which cofactor ?
1. Thymine
2. Riboflavin
3. Pyridoxine
4. Niacin

Correct answer: 3. Pyridoxine

Explanation: Hydrolytic cleavage (hydrolysis) of cystathionine forms Homoserine plus cysteine.This reaction is catalyzed by the enzyme cystathionine lyase (cystathionase), which requires cofactor pyridoxal phosphate (active form of pyridoxin).